Mean, Median and mode all are zero. The type of distribution is ?
1. Standard normal
2. Negatively skewed
3. Positively skewed
4. J shaped

Correct answer: 1. Standard normal

Explanation: Ans. is 'a' i.e., Standard normal